In severe PIH BP is -
1. 160/110
2. 150/100
3. 260/100 mm. Hg
4. 120/80 mm. Hg

Correct answer: 1. 160/110